Surgically used suture material polydioxanone:-
1. A non-absorbable and remain encapsulated
2. Undergoes hydrolysis and complete absorption
3. Undergoes phagocytosis and enzymatic degradation
4. Is specifically used for heart valves of synthetic grafts

Correct answer: 2. Undergoes hydrolysis and complete absorption

Explanation: Surgically used suture material polydioxanone undergoes hydrolysis and complete absorption.